Patient present with skin bullae on the sun exposure. The defect is of
1. Sugar changes
2. DNA methylation
3. Thymidine dimers
4. Trinucleotide repeats

Correct answer: 3. Thymidine dimers

Explanation: A pair of abnormally chemically bonded adjacent thymine bases in DNA, resulting from damage by ultra-violet irradiation. The cellular processes that repair this lesion often make errors that create mutations.